The optimal position of the ankle to avoid ankylosis is
1. Slight plantar flexion
2. Slight plantar extension
3. Slight dorsiflexion
4. Slight inversion

Correct answer: 1. Slight plantar flexion

Explanation: The optimal position of the ankle to avoid ankylosis is one of slight plantar flexion.Ref: Chaurasia; Volume 2; 6th edition; Page no: 150